Which is true about erythema toxicum?
1. Requires antibiotic treatment after obtaining culture and sensitivity results from the lesion
2. They resolve spontaneously and require no treatment
3. Neutrophil-laden lesions
4. Usually occurs after 4 weeks of birth

Correct answer: 2. They resolve spontaneously and require no treatment